All of the following are nuclei of cerebellum, EXCEPT:
1. Nucleus caudate
2. Nucleus dentatus
3. Nucleus globosus
4. Nucleus fastigii

Correct answer: 1. Nucleus caudate

Explanation: Cerebellum is the largest part of hind brain situated in the posterior cranial fossa beneath the tentorium cerebelli. It plays an important role in control of muscle tone and coordination of muscle movement.Must know: The cerebellum controls the same side of the body (ipsilateral side). Cerebellar nuclei are present within the grey matter of the cerebellum. There are four pairs of nclei they are;Nucleus dentatusNucleus globosusNucleus fastigiiNucleus emboliformisGood to know: The grey matter is highly folded to accomodate millions of neurons in a small area and this arrangement is called "arbor vitae" meaning vital tree of life. Ref: Human anatomy By B.D Chaurasia, 4th Edition, Vol 3, Page 339